Which first line antitubercular drug can result in adverse effects of Eye?
1. Ethambutol
2. Pyrazinamide
3. Rifampicin
4. Isoniazid

Correct answer: 1. Ethambutol

Explanation: Ethambutol causesRed Green Color Blindness (Optic Neuritis) Initially reversible, later irreversible Avoided in children. Adverse effects of other first line antitubercular drugs: Pyrazinamide :- Hyperuricemia Rifampicin :- Hepatotoxic, Discoloration of secretion Isoniazid :- Hepatotoxic, Peripheral Neuropathy